Tardy Ulnar nerve palsy is caused by
1. Fracture lateral epicondyle of humerus
2. Fracture medial epicondyle of humerus
3. Elbow dislocation
4. Supra condylar fracture of humerus

Correct answer: 1. Fracture lateral epicondyle of humerus

Explanation: A i.e. Fracture lateral epicondyle of humerus Tardy Ulnar Nerve Palsy Tardy ulnar nerve palsy as a late complication of fractures of the lateral condyle physisQ is well known, especially after the development of cubitus valgusQ from malunion or nonunion of fractures. The symptoms are usually gradual in onset and may appear years after injuryQ (upto 22 years also). Motor loss occur first, with sensory changes developing somewhat later. Anterior transposition of ulnar nerve is most commonly used procedure. With development of cubitus valgus there is outward deviation of forearm 1/ t stretching of medial structures (including ulnar nerve) and causing tardy ulnar nerve palsy.